Muscles of neck with dual nerve supply?
1. Sternohyoid
2. Digastric
3. Thyrohyoid
4. Stylohyoid

Correct answer: 2. Digastric

Explanation: Ans. B. DigastricComposite or hybrid muscles are those muscles which have more than one set of fibers but perform the same function and are usually supplied by different nerves for different set of fibers.It includes-a. Brachialis: Musculocutaneous nerve is motor and radial nerve is proprioceptive.b. Adductor magnus: Its adductor part by posterior division of obturator nerve and hamstring part by tibial part of sciatic nerve.c. Biceps femoris: Its long head is supplied by the tibial part of sciatic nerve, whereas the short head is supplied by the common peroneal nerve.d. Pectineus: Its anterior set of fibers are supplied by the femoral nerve, whereas posterior set of fibers are supplied by the obturator nerve.e. Flexor digitorum profundus: Its radial half of is supplied by the median nerve and the ulnar half is supplied by the ulnar nerve.f. Trapezius: Its motor fibres are supplied by the spinal accessory nerve and proprioception is carried by C3 and C4 dorsal rami.g. Digastric muscle: Its anterior belly is supplied by mandibular nerve. The posterior belly is supplied by the facial nerve.